Anti - LKM 2 antibodies are seen in
1. Type I Autoimmune hepatitis
2. Type II Autoimmune hepatitis
3. Drug induced hepatitis
4. Chronic hepatitis D

Correct answer: 3. Drug induced hepatitis

Explanation: Anti LKM 1 antibodies - Type II AIH
Anti LKM 2 - Drug induced hepatitis
Anti LKM 3 - Chronic hepatitis D.